Surgically used suture material polydioxanone (PDS)
1. Is non absorbable and remains encapsulated
2. Undergoes hydrolysis and complete absorption
3. Undergoes phagocytosis and enzymatic degradation
4. Is specifically used for heart valves or synthetic grafts

Correct answer: 2. Undergoes hydrolysis and complete absorption

Explanation: Polydioxanone suture is a sterile monofilament synthetic absorbable suture (creamy in colour)made from polymerizing para dioxanone monomer. PDS sutures provide wound support for longer periods up to 50 days and offers far superior tensile strength and outstanding pliability. Its monofilament structure provides good handling properties and excellent knot security. Absorption of suture is by simple hydrolysis within 180 days from implantation day. Absorption of polydioxanone suture is reliable and predictable and complete. PDS sutures are ideal for use in general orthopaedic surgery, sub cuticular, gastro intestinal tract, paediatric cardiovascular surgery, sheath closure and general surgery. PDS sutures also cause minimal tissue reaction. Reference : page 1172 SRB's manual of surgery 5th edition